Naloxone is the physiological antidote of
1. Alcohol
2. Cocaine
3. Barbiturates
4. Opium

Correct answer: 4. Opium

Explanation: Naloxone is the physiological antidote. It competes with opioids at the receptor sites and reverses their action. It can reverse not only the respiratory, analgesic, and euphoric actions but the dysphoric, delusional and hallucinatory properties also. Naloxone in the dose of 2 mg i.v can be taken and repeated every 20-30 minutes, upto a total dose of 10 mg. Ref: FORENSIC MEDICINE AND TOXICOLOGY Dr PC IGNATIUS THIRD EDITION PAGE 488